A patient requires tooth extractions from an area that has been subjected to radiation therapy. Which of the following represents the greatest danger to this patient:
1. Alveolar osteitis
2. Osteoradionecrosis
3. Prolonged healing
4. Fracture of the mandible

Correct answer: 2. Osteoradionecrosis